Inclusion body in neuron is seen in
1. Diphtheria
2. Yellow fever
3. Japanese encephalitis
4. Rabies

Correct answer: 4. Rabies